TRUE/FALSE about pulmonary embolism: McConnell sign is seen in CT pulmonary angiography as a filling defect. Westermark sign is area of regional oligemia seen on x-ray. Polo mint sign is seen in echocardiography as regional motion abnormality. IOC in pregnant patient is V/Q scan. Chang sign is abrupt change in diameter of right descending pulmonary artery.
1. FTFTT
2. FTTFT
3. FTTTT
4. FFTFT

Correct answer: 1. FTFTT

Explanation: Pulmonary thromboembolism - Hampton hump sign- Peripheral wedge-shapedarea of infarction - Westermark sign - Pulmonary oligemia - Pallas sign - Prominence of descending right pulmonary artery - Fleischner sign- Prominence of main pulmonary artery - Chang sign - abrupt change in caliber of the descendingright pulmonary artery - IOC for Pulmonary thromboembolism - CT Angio (MDCT with contrast) - In iodine allergies and pregnancy IOC for pulmonary thromboembolism - V/Q Scan - Gold standard for PTE - Pulmonary Angiography POLO MINT SIGN - The polo mint sign is a description given to a venous thrombosis on contrast-enhanced CT imaging. When viewed in the axial plane, a thin rim of contrast persists around a central filling defect due to thrombus.